Osgood-Schlatter's disease is seen in -
1. Proximal tibia
2. Proximal femur
3. Distal tibia
4. Distal femur

Correct answer: 1. Proximal tibia

Explanation: Osgood-Schlatter disease (Tibial tubercle traumatic apophysis or Louise's knees disease) 

Osgood-Schlatter disease is osteochondritis of tibial tuberosity (a prominence located on the anterior aspect of the proximal/upper tibia).
The disease is most common in active boys aged 10-15. It most commonly occurs in just one leg but can occur in both at the same time.
The natural history is benign, with almost all cases asymptomatic by skeletal maturity.
Surgical excision of residual ossicle has been described with a good outcome.